5day baby full term breast fed with bilirubin 14mg Idl weight is 2700g what should be done next ?
1. Normal newborn care
2. Phototherapy
3. Exchange transfusion
4. stop breastfeeding

Correct answer: 1. Normal newborn care

Explanation: Age Min TSB to start phototherapy 24hrs > 10mg 1dL 48hrs >13mg 1dL 72hrs >15mg1dL 96hrs and beyond >18mg1dL Reference: GHAI Essential pediatrics, 8th edition